All are true about Plummer Vinson syndrome except:
1. Esophageal webs
2. Premalignant
3. Common in elderly male
4. Dysphagia

Correct answer: 3. Common in elderly male

Explanation: Plummer-Vinson syndrome or Sideropenic dysphagia, Postmenopausal women triad of post cricoid dysphagia from: Esophageal webs, Iron deficiency anemia with beefy-red tongue due to atrophic glossitis Koilonychia It is a premalignant condition with increased risk of squamous cell carcinoma of esophagus.